Menorrhagia is defined as blood loss per vagina more than -
1. 80 ml
2. 110 ml
3. 150 ml
4. 50 ml

Correct answer: 1. 80 ml

Explanation: Ans. is 'a' i.e. 80 ml (Ref Shaws, 13/e, p 291 (12/e, p. 229)). Menorrhagia - when blood loss is more than 80 ml* Oligomenorrhea - when blood loss is less than 20 ml*